Buerger's disease is caused by:
1. Asbestosis
2. Alcohol
3. Cigarette smoking
4. Drug abuse

Correct answer: 3. Cigarette smoking

Explanation: Buerger's disease is caused by vasculitis of vessels of the hands and feet. This disorder is highest among males aged 20 to 40, who have a history of smoking or chewing tobacco.